Liver does not produce
1. Albumin
2. Gamma globulin
3. Fibrinogen
4. Prothrombin

Correct answer: 2. Gamma globulin

Explanation: Gamma globulin is not produced by liver.